Most common site of morgagni hernia is-
1. Left anterior
2. Right posterior
3. Right anterior
4. Left posterior

Correct answer: 3. Right anterior

Explanation: Sites of Congenital Hernia
-        Posterolateral costo vertebral hernia - (Foramen of Bochdalek) - Most common. More common on left side.
-        Retrosternal - (Foramen of Morgagni) - More common on right side
-        Posterior hernia - Failure of posterior part development of diaphragm.
-        Central hernia - Rupture of fetal membranous diaphragm - Rare. If present, more commonly seen on left side.
-        Through esophageal opening.